After postmortem exam, body has to be handed over to
1. Investigating police officer
2. Relative of victim
3. Magistrate
4. The civil authorities

Correct answer: 1. Investigating police officer